The most important indication for surgical repair of a bicornuate uterus is:
1. Infertility
2. Dysmenorrhea
3. Menorrhagia
4. Habitual abortion

Correct answer: 4. Habitual abortion

Explanation: Ans. is d, i.e. Habitual abortionRef: Munrokers Operative Obstetrics 10th/ed, pl92-193; Jeffcoate 7th/ed, p204; Williams Gynae 1st/ed, p418Management: Bicornuate uterus requires surgical treatment only when it causes habitual abortions.Q"When a bicornuate or septate uterus has caused not less than 3 miscarriages and no pregnancy has resided in a viable child, surgery may be indicated." - Ref: Jeffcoate 7th/ed, p204"Surgical reconstruction of the bicornuate uterus has been advocated in women with multiple spontaneous abortions and in whom no other causative factors are identified." - Ref: William Gynae 1st/ed, p418Surgery done is: Unification surgery where an incision is made over the uterus and the 2 horns are sutured together to form a single cavity.After such a surgery: If woman conceives she should be taken up for elective LSCS at 38 weeks of gestation.Q These days hysteroscopic metroplasty is being done.